Maximum storage of Mg in which of the following?
1. Liver
2. Bones
3. Kidney
4. Intestine

Correct answer: 2. Bones

Explanation: Ans. is 'b' i.e., BonesHuman adult body contains about 25 gm of magnesium of which about half is found in the skeleton.